The following can be done in obstructive jaundice ?
1. Vitamin K injections
2. Vitamin C injections
3. Dehydration therapy
4. All

Correct answer: 1. Vitamin K injections

Explanation: Ans. is 'a' i.e. Vitamin K injections